Feature of 3 degree burn:
1. Pain present
2. Transudation of fluid present
3. Whole dermis destroyed
4. Erythematous in appearance

Correct answer: 3. Whole dermis destroyed

Explanation: Answer- C. Whole dermis destroyedThe whole of the dermis is destroyed of the burns.Clinically, they have a hard, leathery feel, The appearance can vary from that similar to the patient's normal skin to charred black depending upon the intensity of the heat. . There is no capillay return after, thrombosed vessels can be seen under the skin.These burns are completely anaesthetised: a needle can be stuck deep into the dermis without any pain or bleeding.